True about Atosiban:
1. is an oxytocin receptor antagonist
2. is an progesterone receptor antagonist
3. is least effective in inhibiting preterm uterine contractions
4. is a anti-tocolytic drug

Correct answer: 1. is an oxytocin receptor antagonist

Explanation: Ans. a (is an oxytocin receptor antagonist). (Ref. KDT, Pharmacology, 6th ed., p 323)ATOSIBAN# Atosiban is an oxytocin receptor antagonist with high uterine specificity.# It is effective in inhibiting preterm uterine contractions, and is at least as effective as conventional beta-agonist therapy in treating preterm labour, but with significantly fewer maternal and fetal side effects.# The incidence of maternal/fetal side effects is significantly higher with beta-agonists, and serious maternal CV side effects, such as pulmonary edema and myocardial ischemia, were also associated with beta-agonist but not atosiban therapy.# The favourable safety profile of atosiban in combination with equivalent tocolytic effectiveness would appear to represent an advance over current tocolytic therapy. Sr .no.Tocolytic Agents Comments1IsosuprineS/E--hypotension, pulmonary edema, ARDS, hypokalaemia, hyperglycemia.2RitodrineS/E-hypotension, pulmonary edema, ARDS, hypokalemia, hyperglycemiaQ3Salbutamol-4Ethanol-5MgSO4 (UP 2002)- Monitor respiration, urine output and deep reflexes.- Antidote is calcium gluconate.- Therapeutic levels = 4-7 mEq/L6AspirinProstaglandin inhibitor7Nifedipine-8AtosibanOxytocin analogue,oxytocin receptor antagonist - Counteracts effects of endogenous oxytocin.9Sodium nitroprussideNitric oxide donor, increases cGMPQ10Potassium channel opener